Appendices epipioicae is a feature of -
1. Duodenum
2. Stomach
3. Colon
4. Jejunum

Correct answer: 3. Colon

Explanation: Ans. is 'c' i.e., Colon [Ref BDC 6'Ve VoL Up. 266}Characteristic features of large intestine3 longitudinal bands, formed by longitudinal muscle coat, called Taeniae coli.Sacculation or haustrationFat filled peritoneal pouches called appendices epiploicae. These are not found in appendix, caecum, and rectum.Greater part is fixed except for appendix, transverse colon and sigmoid colon.Pyere's patches (present in small intestine) are not present.